Following is a contact poison-
1. BHC
2. BaSO4
3. A + B of above
4. Paris green

Correct answer: 1. BHC

Explanation: Ans. is 'a' i.e., BHC Benzemene hexachloride (BHC) or Hexachlorocyclo-hexane (HCH) is a contact poison.